Which of the following drugs is LEAST effective luminal amoebicide ?
1. Metronidazole
2. Diloxanide furoate
3. Iodoquinol
4. Paromomycin

Correct answer: 1. Metronidazole